Brush border is seen in:
1. Bowman's capsule
2. Proximal convoluted tubule
3. Distal convoluted tubule
4. Loop of Henle

Correct answer: 2. Proximal convoluted tubule